Iris cyst formation induced by
1. Atropine
2. Pilocarpine
3. Latanoprost
4. Timolol

Correct answer: 2. Pilocarpine

Explanation: Local side-effects are encountered more frequently with long-acting miotics. These include problems due to miosis include myopia and frontal headache, retinal detachment, lenticular opacities, iris cyst formation, mild iritis, lacrimation and follicular conjunctivitisAmong the given drugs pilocarpine is Parasympathomimetic drugs (Miotics)